Febuxostat is indicated in the treatment of:
1. Hyperkalemia
2. Hyperuricemia
3. Hypernatremia
4. Hypercalcemia

Correct answer: 2. Hyperuricemia

Explanation: Febuxostat is a non purine inhibitor of xanthine oxidase which is required for oxidation of hypoxanthine and xanthine to uric acid. It is usually used in gout especially in patients who are intolerant to allopurinol. Other drugs used in the treatment of hyperuricemia: Uricosuric drugs Probenecid Sulfinpyrazone Uric acid synthesis inhibitor Allopurinol Ref: The Rheumatology Handbook By Margaret Callan, page 422.